Hypocomplementemia is seen
1. PSGN
2. Membranous GN
3. Focal segmental DN
4. All

Correct answer: 1. PSGN

Explanation: Answer is A (PSGN) PSGN, MPGN and Infective endocarditis are associated with depressed complement levels or Hypocomplementemia.